Wernicke's hemianopic pupillary reponse is seen in lesions at ?
1. Optic tract
2. Optic chiasma
3. Optic radiation
4. Lateral geniculate body

Correct answer: 1. Optic tract

Explanation: Ans. is 'a' i.e., Optic tract